Prevalence of tuberculosis infection is determined by -
1. Sputum examination
2. Mantoux
3. Clinical examination
4. MMR

Correct answer: 2. Mantoux

Explanation: The tuberculin (Mantoux) test is the only means of estimating the prevalence of infection in a population . Ref:PARK'S TEXTBOOK OF PREVENTIVE AND SOCIAL MEDICINE 23rd edition , Page 185